E.H. Angle introduced his classification of malocclusion in:
1. 1876
2. 1900
3. 1899
4. 1903

Correct answer: 3. 1899

Explanation: ANGLE'S CLASSIFICATION OF MALOCCLUSION
In 1899, Edward Angle classiﬁed malocclusion based on the mesial-distal relation of the teeth, dental arches and jaws. He considered the maxillary ﬁrst permanent molar as a ﬁxed anatomical point in the jaws and the key to occlusion.
Ref: Textbook of orthodontics Gurkeerat Singh 2nd ed page no 163